Young female with 3 day fever , presents with headache with rigid neck, BP 90/60 mmHg, heart rate of 114/min, while checking for her BP, pin point spots developed distal to BP cuff. Most likely organism is:
1. Brucella abortus
2. Brucella suis
3. N. meningitidis
4. Staphylococcus aureus

Correct answer: 3. N. meningitidis

Explanation: Option 3 Meningiococcal Meningitis Most common complication of meningococcemia. Usually begins suddenly with an intense headache, vomiting, and stiff neck and progresses to coma within a few hours. During meningococcemia, there is thrombosis of many small blood vessels in many organs, with perivascular infiltration and petechial hemorrhages. Exudation of polymorphonuclear leukocytes,- surface of the brain covered with a thick purulent exudate. Gram staining of CSF N. meningitidis (Meningococci) Lens shaped with capsule. Option 1 Brucella Classic triad Fever with night sweats; arthralgia/arthritis hepatosplenomegaly(typhoid like illness) Option 4 S. aureus doesn't cause meningitis.